Choristoma is
1. Dilated vascular malformation
2. Malignant stroma of stem cells
3. Normal tissue at abnormal site
4. Benign tumour in which normal elements become abnormally overgrown

Correct answer: 3. Normal tissue at abnormal site

Explanation: Choristoma Ectopic rest of normal tissue Eg: pancreatic tissue in submucosa of stomach